Ferritin biosynthesis is regulated by serum level of ?
1. Ceruloplasmin
2. Hepcidin
3. Iron
4. Transferrin

Correct answer: 3. Iron

Explanation: Ans. is `c' i.e., Iron"The level of iron in plasma is sensed by specific iron regulatory proteins which control the rate offerritin synthesis and to maintain homeostasis" - Human physiologyHepicidin regulates absorption of iron. But, it is also according to the serum iron level. If serum iron is deficiem, hepacidin level falls and there is increased iron absorption.